Features of tentorial herniation include -
1. Vomiting
2. Deterioration of consciousness
3. Dilated pupil
4. All the above

Correct answer: 4. All the above